Burden of malaria is be st estimated by -
1. Mosquito rate
2. API
3. Parasite rate
4. SPR

Correct answer: 2. API

Explanation: Annual parasite rate (API) = Confirmed cases during 1 year/ population under surveillance x 1000 APIis a sophisticated measure of malaria incidence in society. Parasite rate is defined as the percentage of children between the ages 2 and 10 years showing malaria parasite in their blood films. Slide positivityrange is the percentage of slide found positive for malarial parasite, irrespective of the type of species. Reference; Park's Textbook of preventive and social medicine, 24th edition.Pg no. 277,278